ST segment elevation on EKG is not seen in
1. Early repolarization variant
2. Constrictive pericarditis
3. Ventricular aneurysm
4. Prinzmetal angina

Correct answer: 2. Constrictive pericarditis

Explanation: Causes of ST-segment elevation are as follows: 1. Ischemia/myocardial infarction a. Noninfarction, transmural ischemia (Prinzmetal's angina, and Takotsubo syndrome) b. Acute MI c. Postmyocardial infarction (ventricular aneurysm) 2. Acute pancarditis 3. Normal variant (early repolarization pattern) 4. Left ventricular hypertrophy/left bundle branch block 5. Rare causes a. Brugada pattern b. Class-1c antiarrhythmic drugs c. DC cardioversion d. Hypercalcemia e. Hyperkalemia f. Hypothermia (J wave/Osborne waves) g. Myocardial injury i. Myocarditis J. Tumor invading left ventricle K. Trauma to ventricles Ref - Harrison's principles of internal medicine 20th ed pg 1680